The tooth that is commonly seen in an abnormal relation and contact with its adjacent teeth of the same arch is:
1. Mandibular first premolar
2. Mandibular lateral incisor
3. Maxillary central incisor
4. Maxillary lateral incisor

Correct answer: 4. Maxillary lateral incisor